Most common indication for laparotomy in intestine T.B is -
1. Peritonitis
2. Intestinal obstruction
3. Doubtful diagnosis
4. Lower GI bleeding

Correct answer: 2. Intestinal obstruction

Explanation: Ans. is 'b' i.e., Intestinal obstruction